First aid to control external hemorrhage is:
1. Endoscopic control
2. Apply pressure
3. Drugs
4. Operation

Correct answer: 2. Apply pressure

Explanation: Ans. B: Apply pressure Immediate resuscitative manoeuvre to control haemorrhage: Direct pressure should be placed over the site of external haemorrhage